All of the following characteristics differentiate a typical cervical vertebra from a thoracic vertebra EXCEPT:
1. Has a triangular vertebral canal
2. Has foramen transversarium
3. Superior articular facet is directed backwards & upwards
4. Has a small vertebral body

Correct answer: 3. Superior articular facet is directed backwards & upwards

Explanation: Superior articular facets are directed backwards & upwards in both cervical and thoracic regions, henceis not a differentiating feature. Vertebral body is the smallest in the cervical region. Large vertebral body is present at the level of lumbar vertebra. Vertebral foramen is triangular and large in the cervical vertebra. The foramen is small and circular in thoracic vertebra. Cervical vertebrae are identified by the foramen transversarium in their transverse process.